Most common reported disease in post disaster period:
1. Acute gastroenteritis
2. Pneumonia
3. Leptospirosis
4. Malnutrition

Correct answer: 1. Acute gastroenteritis

Explanation: - Most Common reported disease in post disaster phase is Acute Gastroenteritis, Typhoid & Cholera. - Most important step during Post-disaster phase is, Chlorination of water > Vaccination - All vaccines are CI in post-disaster phase; except Measles Extra edge: - Chairman of National Disaster Management Authority (NDMA) of India is Prime Minister of India